Lepra cells are -
1. Neutrophils
2. Lymphocytes
3. Histiocytes
4. Plasma cells

Correct answer: 3. Histiocytes

Explanation: Ans. is 'c' i.e., Histocytes